Which of the following is not a sign of active rickets ?
1. Prominent fontanelle
2. Hot cross bun sign
3. Saddle nose
4. Caries teeth

Correct answer: 3. Saddle nose

Explanation: Saddle nose is not seen in rickets.